Which of the following has no role in diagnosis Of childhood TB?
1. ELISA
2. Mantoux
3. CXR
4. FNAC

Correct answer: 1. ELISA

Explanation: Antibody detection by ELISA or other methods is of no utility in diagnosis of childhood tuberculosis.Mantoux test is a useful diagnostic aid. An induration of more than 10 mm is suggestive of natural infection.Glands,liver and other tissues may be examined for histological evidence of TB by FNAC. Chest X-ray upright PA view is usually sufficient. Reference: Ghai essential pediatrics 6th edition.